All of the followig are physiological response to smoking, EXCEPT:
1. Decreased HDL
2. Increased hematocrit
3. Increased heart rate and increased catecholamine release
4. Decreased carboxyhemoglobin

Correct answer: 4. Decreased carboxyhemoglobin

Explanation: Smoking tends to increase blood cholesterol levels. Furthermore, the ratio of high-density lipoprotein to low-density lipoprotein tends to be lower in smokers compared to non-smokers. Smoking also raises the levels of fibrinogen and increases platelet production (both involved in blood clotting) which makes the blood viscous. Carbon monoxide binds to haemoglobin (the oxygen-carrying component in red blood cells), resulting in a much stabler complex than haemoglobin bound with oxygen or carbon dioxide and it will increase the level of carboxyhemoglobin. Smoking will increase the heart rate by as much as 30 percent during the first 10 minutes of smoking. Ref: Blaha M.J., Ketlogetswe K.S., Ndumele C.E., Gluckman T.J., Blumenthal R.S. (2011). Chapter 51. Preventive Strategies for Coronary Heart Disease. In V. Fuster, R.A. Walsh, R.A. Harrington (Eds), Hurst's The Heart, 13e.